Which of the following causes minimum bone marrow suppression -
1. Bleomycin
2. 5FU
3. Cytarabine
4. Topotecan

Correct answer: 1. Bleomycin

Explanation: Ans. is 'a' i.e., Bleomycin